True about hepatocelluar ca is -
1. Associated with HBV and HCV
2. Cirrhosis is predisposing factor
3. Fibrolamellar variety is not associated with cirrhosis
4. All

Correct answer: 4. All

Explanation: Answer is 'a' i.e. Associated with HBV & HCV; 'b' i.e. Cirrhosis is a predisposing factor; 'c' i.e. Fibrolamellar variety is not associated with cirrhoris "All patterns of hepatocellular carcinomas have a strong propensity for invasion of vascular channels." - Robbins